Which of the following antibodies is positive in Primary Biliary cholangitis (PBC)
1. Anti - nuclear antibody
2. Anti - mitochondrial antibody
3. Anti - smooth muscle antibodies
4. CANCA and PANCA

Correct answer: 2. Anti - mitochondrial antibody

Explanation: Anti mitochondrial antibodies are a signature autoantibody of PBC and are detected in sera of  95% patients.